Average gain of height in first year ?
1. 25 cms
2. 50 cms
3. 75 cms
4. 100 cms

Correct answer: 1. 25 cms

Explanation: O.P. Ghai 9th Edition - page 13